Impaired oral GTT indicated by-
1. Fasting plasma sugar > 126 mg\/dl
2. Random blood sugar > 200 mg\/dl
3. Fasting blood sugar < 90 mg\/dl
4. Fasting blood sugar <126 mg\/dl and two hours after glucose load 140-199 mg\/dL

Correct answer: 4. Fasting blood sugar <126 mg\/dl and two hours after glucose load 140-199 mg\/dL

Explanation: Impaired glucose tolerance : Fasting blood sugar <126 mg/dl and two hours after glucose load 140-199 mg/dL. Impaired fasting glucose : Fasting blood sugar 110-125 mg /dL mg/dl and two hours after glucose load <140mg/dLDiabetes : Fasting blood glucose > 126 mg/dL and 2 hr after glucose load > 200 mg /dL Reference : page 809 Davidson's Principles and practice of Medicine 22nd edition